Hernia occurring in a potential space posterior to gastrojejunostomy is called
1. Bochdalek's Hernia
2. Peterson's Hernia
3. Littre's Hernia
4. Richter's Hernia

Correct answer: 2. Peterson's Hernia

Explanation: Answer- B. Peterson's HerniaPetersen hernias are a type ofinternal hernia which occurs in the potential space posterior to a gastrojejunostomy.This hernia is caused by the herniation of intestinal loops through the defect between the small bowel limbs, the transverse mesocolon and the retroperitoneum, after any type of gastrojejunostomy.